All are the risk factors associated with macrosomia, EXCEPT:
1. Maternal obesity
2. Prolonged Pregnancy
3. Previous large infant
4. Short Stature

Correct answer: 4. Short Stature

Explanation: Short stature does not constitute a risk factor for macrosomia. Ref:Williams Obstetrics, 22nd Edition, Page 905